Amniocentesis is early pregnancy for genetic disorders is a kind of -
1. Primordial prevention
2. Primary prevention
3. Secondary prevention
4. Tertiary prevention

Correct answer: 3. Secondary prevention

Explanation: Ans. is 'c' i.e., Secondary prevention